Recommended content of Iodine in salt at production level ?
1. 10 ppm
2. 15 ppm
3. 20 ppm
4. 30 ppm

Correct answer: 4. 30 ppm

Explanation: Ans. is 'd' i.e., 30 ppm Goitre control There are following essential components of national goitre control programme. 1. Iodized salt The iodization of salt is now the most widely used prophylactic public health measure against endemic goitre. In India the level of iodization is fixed under the Prevention of food adulteration (PFA) act and is not less than 30 ppm at the production point and not less than 15 ppm of iodine at the consumer level. Iodized salt is most economical, convenient and effective means of mass prophylaxis in endemic areas. Recently the National institure of Nutrition at Hyderabad has come out with a new product, common salt fortified with iron and iodine --> two in one salt (twin fortified salt or double fortified salt). Iodized oil --> It is another effective method for controlling goitre. IM injection of iodized oil (mostly poppy seed oil) is given. An average dose of 1 ml will provide protection for 4 years. 2. Iodine monitoring Neonatal hypothyroidism is a sensitive pointer to environmental iodine deficiency and can thus be an effective indicator for monitoring the impact of a programme. 3. Manpower training 4. Mass communication "The WHO regional strategy for the control of IDD has its principal objective the reduction of prevalence of goitre in areas of endemicity to 10% or below by the year 2000".